All are primary generalised seizures except
1. Grand mal epilepsy
2. Myoclonic epilepsy
3. Petitmal epilepsy
4. Infantile spasm

Correct answer: 4. Infantile spasm

Explanation: Classification of Seizures: Partial Seizures Primarily Generalized seizures Unclassified Seizures - Simple partial seizures (with motor, sensory, autonomic, or psychic signs) - Complex partial seizures - Partial seizures with secondary generalization - Absence (Petit mal) - Tonic- clonic (Grand mal) - Tonic - Atonic - Myoclonic - Neonatal seizures - Infantile spasms